A person missing from home is found wandering purposefully. He is well groomed and denies of having any amnesia. Most likely diagnosis is-
1. Dementia
2. Dissociative amnesia
3. Dissociative fugue
4. Schizophrenia

Correct answer: 3. Dissociative fugue